Mechanism of action of Salmeterol is:
1. Pure b2 agonist
2. Pure b1 agonist
3. b1 + b2 agonist
4. al agonist

Correct answer: 1. Pure b2 agonist

Explanation: Ans. is 'a' i.e., Pure b2 agonist Salmeterol* It is the first long acting p2 agonist with slow onset of action used by inhalation on a twice daily schedule for maintenance therapy, but not for acute asthma.* Concurrent use of inhaled salmeterol and inhaled glucocorticoids produces effects equivalent to double dose of corticosteroid alone.